Ideal treatment of rhinosporidiosis is -
1. Rifampicin
2. Excision with cautery at base
3. Dapsone
4. Laser

Correct answer: 2. Excision with cautery at base

Explanation: Treatment of rhinosporidiosis is complete excision of the mass with diathermy knife and cauterisation of its base.